Net Protein utilization of fish is-
1. 57%
2. 67%
3. 77%
4. 87%

Correct answer: 3. 77%

Explanation: Ans. is 'c' i.e., 77% Egg is ideal protein because it has high biological efficiency and NPU : NPU for egg : 100 Fish : 77 Wheat : 51 NPU for meat : 80 Rice : 65 Pulses : 45-50 NPU for milk : 75 Soyabean 55